Kings criteria are used in the prognosis of which of the following
1. Acute heart failure
2. Acute liver failure
3. Acute renal failure
4. Acute respiratory failure

Correct answer: 2. Acute liver failure

Explanation: ref -